Which of the following is not a common feature of Anorexia nervosa
1. Binge eating
2. Amenorrhoea
3. Self perception of being fat
4. Under weight

Correct answer: 1. Binge eating

Explanation: Anorexia Nervosa Anorexia nervosa is an eating disorder characterised by the following prominent clinical features: 1. It occurs much more often in females as compared to the males. The common age of onset is adolescence (13-19 years of age). 2. There is an intense fear of becoming obese. This fear does not decrease even if the body becomes very thin and underweight. 3. There is often a body-image disturbance. The person is unable to perceive own body size accurately. 4. There is a refusal to maintain the body weight above a minimally normal weight for that age, sex and height. 5. Significant weight loss occurs, usually more than 25% of the original weight. The final weight is usually 15% less than the minimum limit of normal weight (for that age, sex and height) or a Quetelet's body-mass index (BMI) of 17.5 or less (Quetelet's body-mass index = weight in kg divided by square of height in meters). 6. No known medical illness, which can account for the weight loss, is present. 7. An absence of any other primary psychiatric disorder. 8. Amenorrhoea, primary or secondary, is often present in females. Ref: A Short Textbook of Psychiatry, Niraj Ahuja, 7th Edition, pg. no. 142